Which of the following is true about viral antibodies?
1. Appear before interferon
2. Formed against viral nuclear acid
3. Formed against viral surface proteins
4. Maximum levels are seen writhin one week

Correct answer: 3. Formed against viral surface proteins

Explanation: Ans. c. Formed against viral surface proteins (Ref: Harrison 19/e 214e-8, 18/e p1439)Viral antibodies are formed later than interferon and significant levels are seen after one week and are directed against the viral surface proteins.'Resistance to viral infections is initially provided by factors that are not virus-specific. Physical protection is afforded by the cornified layers of the skin and by mucous secretions that continuously sweep over mucosal surfaces. Once the first cell is infected, IFNs are induced and confer resistance to viral replication Viral infection may also trigger the release of other cytokines from infected cells. These cytokines may be chemotactic to inflammatory and immune cells. Viral protein epitopes expressed on the cell surface in the context of MHC class I and II proteins can stimulate the expansion of T cell populations with receptors that can recognize the virus- encoded peptides. IFNs and NK cells are particularly important in containing viral infection for the first several days. 7-10 days after infection, virus-specific antibody responses, virus-specific HLA class II--restricted CD4+ helper T lymphocyte responses, and virus-specific HLA class I--restricted CD8+ cytotoxic T lymphocyte responses develop. These responses, whose magnitude typically increases over the second and third weeks of infection, are important for rapid recovery. Also between the second and third weeks, the antibody type usually changes from IgM to IgG; IgG or IgA antibody can then be detected at infected mucosal surfaces. Antibody- may directly neutralize virus by binding to its surface and preventing cell attachment or penetration. Complement can significantly enhance antibody-mediated virus neutralization. Antibody and complement can also lyse virus-infected cells that express viral membrane proteins on the cell surface. Cells infected with a replicating enveloped virus usually express the virus-envelope glycoproteins on the cell plasma membrane. Specific antibodies can bind to the glycoproteins, fix complement, and lyse the infected cell. - Harrison 18/e p1439